Source of epistaxis after ligation of external carotid artery is:
1. Maxillary artery
2. Greater palatine artery
3. Superior labial artery
4. Ethmoidal artery

Correct answer: 4. Ethmoidal artery

Explanation: A, B and C are branches of external carotid artery. If external carotid artery is ligated,the source of epistaxis will be Ethmoidal artery which is a branch of internal carotid artery. Ref Dhingra 6/e,p 178.